Inferior alveolar nerve block is absolutely
contraindicated in patients suffering from one of the following diseases:
1. Thrombocytopenia
2. Hemophilia
3. Hypoprothrombinemia
4. Von willebrand's disease

Correct answer: 2. Hemophilia